Study of designing equipment and devices that fit the human body, its movements, and its cognitive abilities is
1. Economics
2. Bionomics
3. Socionomics
4. Ergonomics

Correct answer: 4. Ergonomics